All of the following comprise classical triad for congenital rubella syndrome, EXCEPT:
1. Sensory neural deafness
2. Cataract
3. Patent ductus arteriosus
4. Micrognathia

Correct answer: 4. Micrognathia

Explanation: Congenital Rubella Syndrome - Risk of congenital defects is maximum before 11 weeks of gestation, C/F (Mnemonic: 'C D C') - Cataract - Deafness - Congenital heart disease (Most common is PDA) - IUGR - Microcephaly - Blue berry muffin lesions - Retinopathy - Most common manifestation of CRS: Sensineural deafness Late onset manifestations of CRS - Diabetes mellitus Thyroid dysfunction